False regarding Health For All by 2000 A.D. is –
1. All people will be healthy by 2000 A.D.
2. All people are accessible to health care services
3. All will have socially and economically productive life
4. Equal health status for people and countries

Correct answer: 1. All people will be healthy by 2000 A.D.

Explanation: Health for All 

Health for all' is defined as "attainment of a level of health that will enable every individual to lead a socially and economically productive life".
The fundamental principle of HFA strategy is equity, that is, an equal, health status for people and countries, ensured by an equitable distribution of health resources.
The best approach to achieve the goal for HFA is by providing primary health care.
At least essential health care should be accessible to all individuals in an acceptable and affordable way.

The seven principles of health for all outline by WHO

The right to health  Health promotion
Equity in health ( equitable distribution)       
Community participation      
Intersectoral collaboration
Primary health care
Intersectoral corporation